A helix is placed for:
1. Activation
2. Increasing the flexibility and range
3. Esthetics
4. Retention

Correct answer: 2. Increasing the flexibility and range